Which among the following hormone can be used as an indicator for ovarian reserve in a patient who presented with infertility?
1. FSH
2. LH/FSH ratio
3. LH
4. Estrogen

Correct answer: 1. FSH

Explanation: Because the number of growing follicles is correlated to the size of the primordial follicle pool size, a marker such as antimullerian hormone (AMH) or mullerian-inhibiting substance that reflects all follicles that have made the transition from the primordial follicle pool to the growing pool has been proposed to be a good indirect marker of ovarian reserve. FSH and inhibin B levels have also been proposed to serve as predictors of the ovarian reserve. Ref: Molina P.E. (2013). Chapter 9. Female Reproductive System. In P.E. Molina (Ed), Endocrine Physiology, 4e.